Hypercalcemia is not a feature of one of the following conditions -
1. Primary hyperparathyroidism
2. Multiple myeloma
3. Tumourlysis syndrome
4. Sarcoidosis

Correct answer: 3. Tumourlysis syndrome

Explanation: in tumor lysis syndrome there is hypocalcemia (Harrison 17 pg 1736)